Treatment of choice for patient with meningecoccal meningitis who is allergic to penicillin -
1. Chloramphenicol
2. Meropenam
3. Linezolid
4. Tiecoplanin

Correct answer: 1. Chloramphenicol

Explanation: Ans. is 'a' i.e., Chloramphenicol Treatment of meningococcal meningitis o Drug of choice --3 Third generation cephalosporin (ceftriaxone or ceftazidine) o Patient allergic to penicillin --> Chloramphenical is DOC Prophylaxis o Drug of choice --> Rifampicin o Alternatives --> Ciprofloxacin, ofloxacin, ceftriaxone, azithromycin